Bacteriostatic antitubercular drug among the following is :
1. Isoniazid
2. Rifampicin
3. Streptomycin
4. Ethambutol

Correct answer: 4. Ethambutol